Hypercalcemia related to malignancy is seen in which of the following cancers?
1. Multiple myeloma
2. Lung carcinoma
3. Carcinoma breast
4. All the above

Correct answer: 4. All the above

Explanation: Answer- D. All the aboveMalignancy related-Solid tumor with metastasis/ paraneoplastic syndromeCarcinoma breast/ Lung/ Kidney etcHematological: Multiple myeloma/Lymphoma/LeukemiaAluminum intoxicationMilk Alkali syndrome